Carotid body receptors are stimulated when there is:
1. Increased O2 tension
2. Decreased O2 tension
3. Decreased CO2
4. Increased heart rate

Correct answer: 2. Decreased O2 tension